A diabetic patients presents with black necrotic mass filling the nasal cavity. Most likely fungal infection is
1. Rhinosporidiosis
2. Aspergillosis
3. Mucormycosis
4. Candidiasis

Correct answer: 3. Mucormycosis

Explanation: (Mucormycosis) (151 -Dhingra 4th)Mucormycosis - common in uncontrolled DM or taking immuno compressive drugs* Invade arteries an causes endothelial damage and thrombosis* Typical finding - presence of a black necrotic mass** filling the nasal cavity and eroding the septum and hard palate* Treatment - Amphotericin - B & Surgical debridement** filling the nasal cavity and eroding the septum and hard palate* Treatment - Amphotericin - B & surgical debridement* Commonest fungeal infection in nose - Aspergillosis* Rhinosporidiosis - is a fungal granuloma- caused by Rhinosporidium seeberi**